With iron treatment Hb increases by :
1. 2 gm/week
2. 1 gm/week
3. 2 gm/month
4. 1 gm/month

Correct answer: 2. 1 gm/week

Explanation: 1 gm/week